True about ureters are all except:
1. Constricted at three places
2. It is 25cm long
3. Testicular vessels lie anteriorly to the ureters
4. It is lined by cuboidal epithelium

Correct answer: 4. It is lined by cuboidal epithelium

Explanation: The ureter emerges from the hilum of the kidney and runs vertically downward behind the parietal peritoneum (adherent to it) on the psoas muscle, which separates it from the tips of the transverse processes of the lumbar vertebrae. It enters the pelvis by crossing the bifurcation of the common iliac artery in front of the sacroiliac joint . The ureter then runs down the lateral wall of the pelvis to the region of the ischial spine and turns forward to enter the lateral angle of the bladder.Relations, Right UreterAnteriorly: The duodenum, the terminal part of the ileum, the right colic and ileocolic vessels, the right testicular or ovarian vessels, and the root of the mesentery of the small intestine.Posteriorly: The right psoas muscle, which separates it from the lumbar transverse processes, and the bifurcation of the right common iliac artery.Relations, Left UreterAnteriorly: The sigmoid colon and sigmoid mesocolon, the left colic vessels, and the left testicular or ovarian vessels. Posteriorly: The left psoas muscle, which separates it from the lumbar transverse processes, and the bifurcation of the left common iliac artery.